Clinical criteria of brain death is all except
1. Coma
2. Absent brain stem reflex
3. Absent spinal cord reflex
4. Absent motor activity

Correct answer: 3. Absent spinal cord reflex

Explanation: C i.e. Absent spinal cord reflex Brain Death It is defined as irreversible cessation of all brain function. Spinal cord function below C1 may still be presentQ. Brain death criteria can be applied only in absence of hypothermia, hypotension, drug depressing brain function, neuromuscular blocking agent, endocrinal & metabolic abnormalitiesQ, (Clinical criteria are: ComaQ - Absence of brain stem (i.e., pupillary, gag; corneal, oropharangeal, respiratory, vestibuloocular (caloric) & or cough) reflexesQ. Absence of motor activity including decrebate & decorticate posturing. Absence of ventilatory effort with the arterial CO2 tension 60 mm Hg or 20 mmHg above pretest level Spinal cord reflexes may be preserved in coma & re- examination (not < 2hour apart) is optional.Q Apnea test should be done at last because of its harmful effects on intracranial pressure. Isoelectric EEG, absent brain stem auditory evoked potentials & absence of cerebral perfusionQ (on angiography, radioisotope scan or transcranial Doppler) are confirmatory but not required tests..